In Hodgkin's disease, the lymphoma cells seen are
1. Eosinophils
2. Plasma cells
3. Reed-sternberg cells
4. Giant cells

Correct answer: 3. Reed-sternberg cells